Eteplirsen has been recently FDA approved for the treatment of
1. Duchenne muscular dystrophy
2. Spinal muscular atrophy
3. SSPE
4. AML

Correct answer: 1. Duchenne muscular dystrophy

Explanation: Duchenne muscular dystrophy: MC hereditary neuromuscular disease in children. X-linked recessive deletion of dystrophin gene ( Xp 21)- one of the largest gene C/F: More common in males. Family history present Pseudohypertrophy of calf muscles Cardiac involvement Recurrent respiratory infection Proximal muscle weakness in limbs Intellectual disability 'GOWER SIGN'is positive- Gowers' sign indicates weakness of the proximal muscles, esp of the lower limb. Mx- Phase 3 trials have shown benefits from ETEPLIRSEN - FDA APPROVED